Insulin mediated glucose uptake occurs through
1. GLUT-1
2. GLUT -2
3. GLUT- 3
4. GLUT -4

Correct answer: 4. GLUT -4

Explanation: D i.e. GLUT-4